An absolute contraindication for IVP is -
1. Allergy to the drug
2. Multiple myeloma
3. Blood urea > 200 mg
4. Renal tumor

Correct answer: 1. Allergy to the drug

Explanation: • Although IVU gives excellent images of the urinary tract, its use should be restricted because in a few patients the iodine in the contrast medium may provoke a potentially life-threatening anaphylactic reaction.
• Patients with a history of allergy, atopy and eczema are particularly vulnerable, but severe reactions may occur without warning.